Which of the following is an immune privileged site?
1. Kidney
2. Testis
3. Lung
4. Liver

Correct answer: 2. Testis

Explanation: ANSWER: (B) TestisREF: Cellular and Molecular Immunology by Abul K. Abbas, Andrew H. Lichtman, and Shiv Pillai7th edition chapter 2The term immune privilege refers to the phenomenon where tissue allografts transplanted to certain anatomical sites appear exempt from the rules that normally govern graft rejection. Immune responses and associated inflammation in certain parts of the body, including the brain, eye, testes, placenta, and fetus, carry a high risk of lethal organ dysfunction or reproductive failure. These tissues, which have evolved to be protected, to a variable degree, from immune responses, are called immune privileged sites. The Nobel laureate immunologist Sir Peter Medawar coined the term immune privilege in the 1940s to describe the lack of immune responses to tissue transplanted into the brain or the anterior chamber of the eye of experimental animals. Foreign antigens that would evoke an immune response in most tissues are often tolerated in these immune privileged sites. The mechanisms underlying immune privilege vary between these tissues and are not fully understood. Some of the mechanisms are similar to mechanisms of regulation in gut and skin.